Glucose intolerance is caused by:
1. Thiazides
2. Propranolol
3. Frusemide
4. All of these

Correct answer: 4. All of these